Stress in cold working can be relieved by:
1. Age hardening
2. Annealing
3. Hydrochloric acid
4. Beating

Correct answer: 2. Annealing